Which of the following is a direct branch of Inferior mesenteric artery
1. Superior rectal artery
2. Middle rectal artery
3. Inferior rectal artery
4. Inferior epigastric artery

Correct answer: 1. Superior rectal artery

Explanation: Inferior and middle rectal arteries are branches of internal iliac artery which is a branch of common iliac artery whereas superior rectal artery is a direct branch of inferior mesenteric Artery which is a branch of abdominal aorta. There are three major branches that arise from the IMA: Left colic artery, Sigmoid artery and Superior rectal artery.